Antral fistula is most common after extraction of:
1. 2nd incisor
2. 1st premolar
3. 3rd molar
4. 1st molar

Correct answer: 4. 1st molar

Explanation: (d) 1st molar(Ref. Scott Brown, 6th ed., 1/5/25)The floor of the maxillary sinus is related to 2nd premolar and 1st molar. Therefore extraction of these teeth can lead to an oro-antral fistula.